All statements concerning the conjoint tendon are true, except
1. It forms part of posterior wall of inguinal canal
2. It is the fused part of aponeurosis of transverses abdomens and internal oblique muscle
3. It is continuous with inguinal ligament
4. It may be pushed forward by direct inguinal hernia

Correct answer: 3. It is continuous with inguinal ligament

Explanation: CONJOINT TENDON:- Falx inguinalisFormation: fusion of lowest aponeurotic fibres of internal oblique and of the transversus muscle. It forms the posterior wall of inguinal canal. Medially: continuous with the anterior wall of rectus sheath.Laterally: free It may be continuous with an inconstant ligamentous band, interfoveolar ligament, which connects lower border of transversus abdominis to the superior ramus of pubis. Conjoint tendon strengthens the anterior abdominal wall at site where it is weakened by the superficial inguinal ring. {Reference: BDC 6E}